Soft exudates are found in all except-
1. Diabetic Retinopathy
2. Hypertensive retinopathy
3. CMV retinitis
4. Retinopathy of prematurity

Correct answer: 4. Retinopathy of prematurity

Explanation: Ans. is 'd' i.e., Retinopathy of prematurity Causes of soft exudates (cotton wool spots)* All types of severe hypertension (hypertensive retinopathy) including renal disease, Toxemia of pregnancy.* Diabetic retinopathy* Collagen vascular disordersSLE, PAN, systemic sclerosis, scleroderma, wegener granulomatosis.* Infections AIDS, septic retinitis (including SABE), rarely CMV retinitis in AIDS.* Microembolization IV drug abuse, Post cardiac surgery, Fat embolism or Purtscher retinopathy.* OtherEale's disease, Adults anemia (Hb < 6.6-8.0 g/dl), Pseudoxanthoma elasticum, Neoplasia (Leukemia, Hodgkin's disease), Sickle cell retinopathy, radiation retinopathy. Causes of Hard exudates* Sever hypertension (Hypertensive retinopathy), especially with renal disease* Diabetic retinopathy, especially with renal disease* Infections Measles, influenza, meningitis, erysipelas, psittacosis, parasitic infection, coccidioidomycosis, condidiosis, TB, syphilis.* Collagen vascular diseases Dermatomyositis, SLE, PAN, Bechet's syndrome, Systemic sclerosis, Rheumatic polyarthritis.* HematologicalPernicious anemia, other severe adult anemia (Hb < 8 g/dl), leukemia, multiple myeloma.* Eye diseasesDisciform macular degeneration, Coats disease, Eales disease.* OtherCerebral trauma, after strangulation, fat embolism, lead poisoning, sarcoidosis, old central retinal vein thrombosis, Retinal artery macroaneurysm, Choroidal neovascularization, Hypercholesterolemia.